Trauma and Injury Severity score (TRISS) includes
1. GCS + BP+RR
2. RTS+ISS+Age
3. RTS+ISS+GCS
4. RTS+GCS+BP

Correct answer: 2. RTS+ISS+Age

Explanation: TRISS methadology is important because it attempts to combine the Revised trauma score (RTS),physiologic component of injuryand the Injury severity score (ISS), anatomic component of injury. It also incorporates patient's age. Reference: Greenfield's Surgery - Scientific Principles & Practices, 5th edition, Page no :390-391.